Molecular separation of two proteins with same charge can be done by:
1. Ion exchange chromatography
2. Dialysis
3. Gel diffusion chromatography
4. Electrophoresis

Correct answer: 3. Gel diffusion chromatography

Explanation: C i.e. Gel diffusion Chomatography